Osteoblasting resembles histogically
1. Osteosarcoma
2. Osteoid osteoma
3. Chondroblastoma
4. Chondrosarcoma

Correct answer: 2. Osteoid osteoma

Explanation: Refer Robbins page no 8th/1224